Preferred measure of central tendency for ordinal data is:
1. Mean
2. Mode
3. Median
4. Range

Correct answer: 3. Median

Explanation: Mean is the preferred measure of central tendency for interval data Median is preferred measure for ordinal data Mode is preferred measure for nominal and dichotomous data Ref: Medical biostatistics, 1st edition pg: 111